Most common presenting feature of retinoblastoma -
1. White reflex
2. Proptosis
3. Photophobia
4. Pain

Correct answer: 1. White reflex

Explanation: Amaurotic cats eye appearence(60%) Ref : ak khurana 6th edition